Which of the following is true about autosomal dominant:
1. Variable age of onset
2. Reduced penetrance
3. Variable expressibility
4. All of the above

Correct answer: 4. All of the above

Explanation: Autosomal dominant disorders:

Variable age of onset.
Reduced penetrance.
Variable expressibility.